Cataract in newborn is:
1. Zonular
2. Coronary
3. Snowflake
4. Cortical

Correct answer: 1. Zonular

Explanation: Ans. Zonular